Pompholyx is
1. Bacterial infection of the palms and soles
2. Fungal infection of the palms and soles
3. Viral infection of the palms and soles
4. Eczema of the palms and soles

Correct answer: 4. Eczema of the palms and soles

Explanation: Pompholyx: A form of eczema of the palms and soles, in which oedema fluid accumulates to form visible vesicles or bullae. pompholyx of palms : cheiropompholyx, and of soles : podopompholyx Clinical Features: Characterised by the sudden onset of crops of clear vesicles, which appear deeply seated and 'sago-like'. Itching may be severe, preceding the eruption of vesicles. Attack subsides spontaneously, and resolution with desquamation occurs in 2-3 weeks in most cases. Treatment: The hands or feet should be soaked three or four times a day in either Burow's solution (aluminium acetate 1%) or potassium permanganate solution (diluted 1 : 8000). Systemic antibiotics will be required if secondary bacterial infection develops..